Primary stress bearing area in mandibular edentulous 
ridge is:
1. Buccal shelf
2. Crest of the ridge
3. Retromolar pad
4. Lingual flange

Correct answer: 1. Buccal shelf